Which of the following drug is given for detoxification of alcohol in chronic alcoholics
1. Haloperidol
2. Naltrexone
3. Chlordiazepoxide
4. Buprenorphine

Correct answer: 3. Chlordiazepoxide